Rideal - walker test is used to compare the efficiency of a disinfectant with that of phenol for the ability to kill
1. S typhi
2. S paratyphi
3. Pseudomonas
4. E.coli

Correct answer: 1. S typhi

Explanation: Rideal - walker test / phenol coefficient test - abilty to sterilize the suspension of S.typhi.